Radiological appearance of rickets include all except
1. Fraying
2. Cupping
3. Splaying
4. Pelkan spur

Correct answer: 4. Pelkan spur

Explanation: Radiological findings in rickets : cupping of metaphysis splaying of metaphysis Fraying of metaphysis widening of growth plate widening of epiphysis cortical thining generalised osteopenia Triradiate pelvis Note : Pelkan spur is a radiological feature of Scurvy